Which of these is a pathognomonic feature of miliary TB?
1. Snow storm appearance in CXR
2. Choroid tubercles on fundus examination
3. Pericardial TB
4. Peritoneal TB

Correct answer: 2. Choroid tubercles on fundus examination

Explanation: Snow storm appearance in CXR can be seen in silicosis also Pericardial TB &Peritoneal TB- features of disseminated TB Choroid tubercles on fundus examination is a pathognomic feature of Miliary TB.